Best method of estimation of amount of proteinuria in a 2 year child with nephrotic syndrome is
1. Dipstick testing
2. 24 hr urine protein
3. Spot urine sample for protein/creatinine ratio
4. Microalbuminuria

Correct answer: 3. Spot urine sample for protein/creatinine ratio

Explanation: c. Spot urine sample for protein/creatinine ratio(Ref: Nelson 20/e 2518)Though 24 hr urine for protein and creatinine, is more accurate, but due to difficulty in collecting 24 hour urinary sample in children, Spot urine sample for protein/creatinine ratio is preferred.